Fungi that posses a capsule is
1. Candida
2. Aspergillus
3. Cryptococcus
4. Mucor

Correct answer: 3. Cryptococcus

Explanation: The capsule of Cryptococcus can be demonstrated by Indian ink or nigrosin stain. capsules are prominent in Indian ink preparation. There are 4 serological types of capsular polysaccharide, it can be demonstrated by precipitation test. All others do not have capsules. Ref: Textbook of Microbiology, Ananthanarayan and Paniker; 9th edition